Cornification Index or eosinophilic index indicates
1. Progesterone effect
2. Estrogenic effect
3. Effect of LH
4. All of the above

Correct answer: 2. Estrogenic effect

Explanation: Estrogenic effect